Bounderies of anatomical snuff box are all except
1. APL
2. EPL
3. EPB
4. ECU

Correct answer: 4. ECU

Explanation: Ans. is 'd' i.e., ECU Anatomical Snuffbox Triangular depression on the dorsal and radial aspect of the hand become visible when thumb is fully extended. Boundaries Medial/Posterior - Tendon of the extensor pollicis longus. Lateral/Anterior - Tendon of the extensor pollicis brevis and abductor pollicis longus. Roof Skin and - fascia with beginning of cephalic vein and crossed by superficial branch of the radial nerve. Floor - Styloid process of radius, trapezium, scaphoid and base of 1st metacarpal. Contents - The radial artery.